Nerve which lies in association to Wharton's duct is?
1. Hypoglossal
2. Lingual
3. Facial
4. Spinal acessory

Correct answer: 2. Lingual

Explanation: Ans. is 'b' i.e., Lingual